A 13 year old boy present with acute onset right scrotal pain. The pain is not relieved on elevation of the serotum and he has no fever or dysuria. The testis is enlarged and tender. His routine urinary examination is normal. There is no history of trauma. Which of the following is the most appropriate management -
1. Immediate exploration
2. Antibiotics
3. Psychiatric evaluation
4. Antibiotics and scrotal elevation

Correct answer: 1. Immediate exploration

Explanation: Ans. is 'a' i.e., Immediate exploration This is a case of torsion of testis Torsion of testis is a surgical emergency and needs immediate exploration if it cannot be relieved by manipulation.